Bull\'s eye lesion seen with –
1. Chloroquine
2. Dapsone
3. Rifampicin
4. Ethambutol

Correct answer: 1. Chloroquine

Explanation: Causes of Bull's eye maculopathy:- Chloroquine, Phenothiazine, Bardet- Biedle syndrome, Batten disease, inverse retinitis pigmentosa, stargardt disease, Dystrophies (benign concentric annular macular dystrophy, fenestrated sheem dystrophy, cone dystrophy), chronic macular hole.